Which of the following is a non granulomatous arteritis?
1. Takayasu arteritis
2. PAN
3. Wegener's granulomatosis
4. Chrug strauss disease

Correct answer: 2. PAN

Explanation: Polyarteritis nodosa belongs to a group of diseases characterizedby necrotizing inflammation of the walls of bloodvessels, most likely caused by deposition of immune complexes.The general term noninfectious necrotizing vasculitisdifferentiates these conditions from those attributable todirect vessel infection (e.g., an abscess) and serves toemphasize that any type of vessel may be involved--arteries, arterioles, veins, or capillaries.Churg-Strauss syndrome may stem from "hyperresponsiveness"to some normally innocuous allergic stimulus.MPO-ANCAs are present in a minority of cases, suggestingthat the disorder is pathogenically heterogeneous. The vascularlesions differ from those of polyarteritis nodosa ormicroscopic polyangiitis by virtue of the presence of granulomas and eosinophils.(Robbins basic pathology,9th edition,pg no.354)